65yrs old male complains of lump on . side lower back associated with blood in urine, wt. loss and night sweats. On investigation it was diagnosed to be RCC 8cm involving abdominal lymph nodes but no distant metastasis. What should be most appropriate management of this patient?
1. Radiation followed by nephrectomy
2. Chemotherapy
3. Radiation
4. Radical nephrectomy

Correct answer: 4. Radical nephrectomy

Explanation: Renal cell cancer is not responsive to radiation and chemotherapy Radical nephrectomy should be done for localized renal cancer Radical Nephrectomy should be done in this patient as the nodes that are suspected of having metastatic disease are just because they are showing reactive inflammation.